An organism grown on agar shows green coloured colonies, likely organism is ?
1. Staphylococcus
2. Streptococcus
3. Pseudomonas
4. E. coli

Correct answer: 3. Pseudomonas

Explanation: Ans. is 'c' i.e., Pseudomonas